Asteroid Hyalosis bodies are composed of
1. Iron
2. Calcium and phosphates
3. Cadmium and chloride
4. None

Correct answer: 2. Calcium and phosphates

Explanation: Answer- B. Calcium and phosphatesAsteroid hyalosis is a degenerative condition of the eye involving small white opacities in the vitreous humor.The asteroid bodies are made up of hydroxyapatite, which in turn consists of calcium and phosphates.